Burtonian line is seen in?
1. Mercury
2. Lead
3. Arsenic
4. Zinc

Correct answer: 2. Lead

Explanation: Ans. is 'b' i.e., Lead o Burtonian line is blue line, which is seen on upper gums in lead poisoning.o Similar blue line (but not called burtonian line in these cases) is also seen in poisoning with Mercury (Hg), Copper (Cu)y Silver (Ag), bismuth (Bi), andiron (Fe).